Histopathological feature of HIV encephalitis is/are
1. Negri body
2. Lewy body
3. Fibrillary plaque
4. Microglial nodules

Correct answer: 4. Microglial nodules

Explanation: Ans. is 'd' i.e., Microglial nodules Microscopic findings of HIV encephalitis are :? i) Diffuse white matter pallor ii) Perivascular infiltrates of lymphocytes and macrophages iii) Foci of necrosis, gliosis and / or demyelination iv) Microglial nodules, macrophages and multinucleated cells